True about neurotmesis
1. Complete transection
2. Worst prognosis
3. Both
4. None

Correct answer: 3. Both

Explanation: Neurotmesis is 3rd degree nerve injury Complete transaction of nerve occurs Has worst prognosis Ref:Guyton and Hall textbook of medical physiology 12th edition,page number: 74,75,76